Femoral ring is bounded by all EXCEPT
1. Inguinal ligament
2. Superior ramus of pubis
3. Femoral artery
4. Femoral vein

Correct answer: 3. Femoral artery

Explanation: [Cl (Femoral artery) (53-BDC-2) (625. Snell 7th)BOUNDARIES OF FEMORAL RING* AnteriorlyInguinal ligament* PosteriorlySuperior ramus of pubis & Pectineus* MediallyLacunar ligament* LaterallyFemoral veinThe inferior epigastric vessels are closely related to the junction of the anterior and lateral walls of the ring